Kala azar is transmitted by:
1. Tse tse fly
2. Sandfly
3. Hard tick
4. Culex mosquito

Correct answer: 2. Sandfly

Explanation: Ans: b (sand fly) Ref;Park, 19 ed, 256Kala azar is transmitted by sandfly (phlebotomus).They are responsible for various diseases in humans:Kala azar or visceral leishmaniasisCutaneous leishmaniasisMuco-cutaneous leishmaniasisAnthroponotic cutaneous leishmaniasisZoonotic cutaenous leishmaniasisPost kala azar dermal leishmaniasis (PKDL) etc..Arthropod-borne diseases:SandflyKala azarOriental soreOraya feverSandfly feverHard tickTick typhusTick paralysisViral encephalitisViral hemorrhagic feverKFDTse tse flySleeping sickness TularemiaHuman babesiosisLouseEpidemic typhus Relapsing feverTrench feverPediculosisSoft tickQ feverRelapsing feverTrombiculidScrub typhusRat fleaBubonic plague, Endemic typhusChiggerosisMiteRickettsialpoxHymenolepsis diminutaItch miteScabiesBlack flyOnchocerceriasisCyclopsGuniea worm and fish tape worm (Diphyllobothrium latum)ReduvidbugChagas disease